Chemoprophylaxis of chloroquine includes -
1. 300 mg BD\/week
2. 600 mg OF\/week
3. 600 mg\/week
4. 300 mg OD\/week

Correct answer: 4. 300 mg OD\/week

Explanation: - Chemoprophylaxis is recommended for travellers from non endemic areas to highly endemic areas of malaria. - chloroquine tablet for chemoprophylaxis in adults include a dose of 300 mg base once a week on the same day each week. Reference : Park's textbook of preventive and social medicine, 23rd edition, pg no:268